Most commonly affected valve in SABE
1. Pulmonary valve
2. Mitral valve
3. Tricuspid valve
4. Coronary valve

Correct answer: 2. Mitral valve